All of the following may cause ST segment elevation on EKG except -
1. Early repolarization variant
2. Constrictive pericarditis
3. Ventricular aneurysm
4. Prizmetal angina

Correct answer: 2. Constrictive pericarditis